Blood transfusion is indicated in following conditions associated with sickle cell anemia:
1. Frequent sickling episodes
2. Twin pregnancy
3. Poor obstetrical outcome
4. All of the above

Correct answer: 4. All of the above

Explanation: Ans. is d, i.e. All of the aboveRef. Fernando Arias 4/e, p 238Prophylactic blood transfusions are not routinely advocated in all pregnant females with sickle cell anemia.Indications:1. Frequent severe sickling episodes.2. Low hematocrit levels.3. Twin pregnancy.4. Poor past obstetrical history.Target: HbS levels becomes <20%.